Once the root canal is obturated, what usually happens to the organism that had previously entered periradicular tissues from the canal?
1. They persist and stimulate formulation of a granuloma.
2. They are eliminated by the natural defenses of the body.
3. They reenter and reinfect the sterile canal unless root-end surgery is performed.
4. They will have been eliminated by various medicaments that were used in the root canal.

Correct answer: 2. They are eliminated by the natural defenses of the body.

Explanation: They are eliminated by the natural defenses of the body. Obturation prevents coronal leakage and bacterial contamination and seals the remaining irritants in the canal. After root canal obturation, the remaining bacteria should have lost their source of nutrition, becoming susceptible to the body’s immune system